Accumulation and deposition of which of the following result in fatty liver?
1. Triglycerides
2. Lipoprotiens
3. LDL
4. VLDL

Correct answer: 1. Triglycerides

Explanation: Fatty liver refers to the deposition of excess triglycerides in the liver cells. Causes of fatty liver are: Increased mobilisation of nonesterified fatty acids from adipose tissue Increased synthesis of fatty acid from glucose Decreased secretion of VLDL Decreased rate of oxidation of fat by hepatic cells Ref: Textbook of Biochemistry By D M Vasudevan, 3rd Edition, Page 130